Percentage of offspring affected by colour blindness when a healthy male and heterozygous female marry
1. 0
2. 25%
3. 50%
4. 100%

Correct answer: 2. 25%